Bence jones proteinuria is best detected by
1. Dipstick method
2. Sulfosalicylic acid
3. Heat test
4. Electrophoresis

Correct answer: 4. Electrophoresis

Explanation: Ans. is `d' i.e., Electrophoresis Bence Jones proteins are seen in multiple myeloma. Urinary protein electrophoresis will exhibit a discrete protein peak. In myeloma plasma cells produce immuno-globulin of a single heavy and light chain, a monoclonal protein commonly referred to as a paraprotein. Heat test is false negative in 50% of patients with light chain myeloma. Dipstick detects albumin and not paraproteins.